The membranous part of the interventricular septum is between -
1. RA & LV
2. LA & RV
3. RA&RV
4. LA&LV

Correct answer: 1. RA & LV

Explanation: Ans- A RA & LV